Meckel' diverticulum is patent of:
1. Vitello intestinal duct
2. Urachus
3. Organic diaphragm
4. None

Correct answer: 1. Vitello intestinal duct

Explanation: (Vitello-intestinal duct) (1159-Baily & Love 25th)Meckel's Diverticum - It represents the patent intestinal end of the vitello-intestinal duct.* Occurs in 2% of patients are usually 2 inches (5cm/ in length and are situated 2 feet (60 cm) fromileocaecal valve.* It should be sought when a normal appendix is found at surgery for suspected appendicitis* If a silent Meckel's is found incidentally during the course of an operation, It can be left alone provided it is wide - mouthed and not thickened.